After trauma, hypovolemic shock can be due to all EXCEPT:
1. Pelvic fracture
2. Head injury
3. Blunt trauma to abdominal viscera
4. Hemothorax

Correct answer: 2. Head injury

Explanation: Head injury REF: Fluid and Electrolyte Balance by Norma Metheny, Norma Milligan Metheny Page 221 Losing about 1/5 or more of the normal amount of blood in your body causes hypovolemic shock. Intracranial injuries alone do not produce circulatory inadequacy until brain stem and its reticular activating system is profoundly involved. Therefore the presence of shock in a head injury patient indicates a search for another cause.